Which of the following is true about Tetralogy of Fallot?
1. Cyanosis is often present in the first few days of life
2. There is a right sided aortic arch in about 50% of cases
3. The murmur becomes so er during a cyano c spell as flow through the pulmonary valve is increased
4. There is an association with DiGeorge syndrome

Correct answer: 4. There is an association with DiGeorge syndrome

Explanation: There is an associa on with DiGeorge syndrome. Tetralogy of Fallot is the most common congenital cyano c heart condition. It may present with cyanosis in the first few days of life, though this is rare. Usually, it presents as a murmur detected in first few months of life or as hypercyano c spells in late infancy. A hot bath will increase cyanosis, as the vasodilator on results in a decrease in the peripheral vascular resistance, and so the flow through the pulmonary artery decreases, and cyanosis increases. During a cyano c spell the decrease (not increase) in flow through the pulmonary artery results in the murmur becoming so er or inaudible. There is a right-sided aor c arch in about 30% of cases.